Which of the following is a non operating dental auxillary:
1. Dental nurse.
2. Dental therapist
3. Dental hygienist.
4. Denturist

Correct answer: 4. Denturist

Explanation: Classification of dental auxiliaries
1) Non-operating 

Dental assistant
Receptionist
Dental laboratory technician or denturist
Dental health educator

2) Operating

Dental nurse
Dental therapist
Dental hygienist